Which of the following organism has been implicated in the pathogeneses of atherosclerosis?
1. Pseudomonas
2. Streptococcus
3. Chlamydia
4. Yersinia

Correct answer: 3. Chlamydia